Posner-schlossman syndrome is -
1. Ipsilateral optic atrophy with contralateral papilloedema
2. Unilateral glaucomatous changes with mild anterior uveitis
3. Granulomatous uveitis with iris heterochromia
4. None of the above

Correct answer: 2. Unilateral glaucomatous changes with mild anterior uveitis

Explanation: It is also known as glaucomatocyclitic crisis. It shows mild uveitis with severe rise of IOP. Disease typically effects young adults, 40% of whom are positivs for HLA-BW54 REF:khurana page no. 167